Centroacinar cells of the Pancreas secrete :
1. Alkaline enzyme-poor fluid
2. Pancreatic digestive enzymes
3. Secretin
4. Cholecystokinin(CCK)

Correct answer: 1. Alkaline enzyme-poor fluid

Explanation: Pancreatic Centroacinar cells Form the initial segment of the intercalated duct Part of the exocrine pancreas. Secrete an enzyme-poor alkaline fluid when stimulated by secretin. -Pancreatic digestive enzymes are synthesized by the acinar cells of the exocrine pancreas; their release is stimulated by cholecystokinin. -Glucagon is produced in the endocrine pancreas (islets of Langerhans).